Double bleb signs in USG are depictive of:
1. Intrauterine two gestations sac
2. Amniotic sac and yolk sac
3. Ectopic pregnancy
4. Heterotopic pregnancy

Correct answer: 2. Amniotic sac and yolk sac

Explanation: Ans. is b, i.e. Amniotic sac and yolk sacRef: Williams 24/e p 170A double bleb sign is a sonographic feature where there is visualization of a gestational sac containing a yolk sac and amniotic sac giving an appearance of two small bubbles. The embryonic disc is located between the two bubbles. It is an important feature of an intrauterine pregnancy and thus distinguishes a pregnancy form a pseudogestational sac or decidual cast cyst.Double bleb signVisualization of a gestational sac containing a yolk sac and amniotic sac giving an appearance of two small bubbles QFeature of an intrauterine pregnancy QDistinguishes a pregnancy from a pseudogestational sac or decidual cast cyst Q.